Radiocontrast is contraindicated in all of the following conditions except?
1. Renal failure
2. Patient on metformin
3. Dehydration
4. Obesity

Correct answer: 4. Obesity

Explanation: Obesity is not a contra-indication for the administration of radio-contrast agent. Ref: Radiologic Technology at a Glance By Theresa S. Reid-Paul; pages 66.